Carcinoma cervix with bilateral hydro ureter due to ureteric obstruction in stage :
1. I
2. II
3. III
4. IV

Correct answer: 3. III

Explanation: III